Speed of induction of anaesthesia is fast with which of the following anaesthetic agent and thus suitable for day care surgery
1. Halothane
2. Desflurane
3. Enflurane
4. Methoxyflurane

Correct answer: 2. Desflurane

Explanation: Desflurane is inhalational anaesthetic agent of choice for day care surgery.